Level of the lower border of the lung at the mid-axillary line is -
1. 6th rib
2. 8th rib
3. 10th rib
4. 12th rib

Correct answer: 2. 8th rib

Explanation: The inferior margin of pleura extends onto diaphragm at the level of (Costodiaphragmatic line)
-        8th rib in the midclavicular line
-        10th rib in mid-axillary line
-        12th rib at the lateral border of erector spinae.
The lower border of lungs extends till the level of
-        6th rib in the midclavicular line
-        8th rib in mid-axillary line
-        10th rib at the lateral border of erector spinae.